In chronic kidney disease patient endodontic treatment should be done on:
1. On the day of dialysis after dialysis.
2. On the day of dialysis before dialysis.
3. Day after dialysis.
4. Day before dialysis.

Correct answer: 3. Day after dialysis.

Explanation: Direct lines from cohen:
Endodontic treatment in chronic kidney disease patient’s is best scheduled on the day after dialysis or say next day after dialysis.
On the day of dialysis, patients are generally fatigued and have bleeding tendency.